Ureteric constriction is seen at all the following positions, except
1. Ureteropelvic junction
2. Ureterovesical junction
3. Crossing of iliac artery
4. Ischial spine

Correct answer: 4. Ischial spine

Explanation: Ureter has three constrictions, which are the most common sites of renal calculus obstruction: at the pelvi-ureteric junction (PUJ) of the renal pelvis and the ureter as the ureter enters the pelvis and crosses over the common iliac artery bifurcation at the vesicoureteric junction (VUJ) as the ureter obliquely enters the bladder wall Ref - BDC vol2 6e , researchgate.net